Insulin mediated glucose transport is seen in -
1. Adipose tissue
2. Brain
3. RBC
4. Kidney

Correct answer: 1. Adipose tissue

Explanation: Ans. is 'a' i.e., Adipose tissue [Ref: Ganong 24the p. 435}o Insulin stimulates the uptake of glucose by myocytes (skeletal muscle, cardiac muscles), adipocytes (adipose tissue) and hepatocytes. Tissues that do not depend on insulin for glucose uptake include brain, erythrocytes (RBC), the epithelial cells of kidney & intestine. Liver, and Cornea & lens of eye.o The mechanism through which insulin increases glucose uptake is different in different tissues. In the muscle and adipose tissues, insulin increase facilitated diffusion by increasing glucose transporter (GLUT4) on the cell membrane.o In the liver, insulin stimulates glucose entry into hepatocytes indirectly by induction of glucokinase so that the glucose entering the liver cells is promptly converted to glucose - 6 - phosphate (glucose trapping). This keeps the intracellular glucose concentration low and favours entry of glucose into the liver. Thus, though the liver do not depend on insulin for glucose uptake, insulin stimulates glucose entry into hepatocytes. That means glucose entery can occur in liver without the action of insulin, but this is facilitated by insulin. On the other hand, myocytes (skeletal and cardiac muslces) and adipocytes (adipose tissue) are dependent on insulin for glucose uptake.